Tuberculin test is -
1. Subcutaneous
2. Intradermal
3. Intramuscular
4. Subdermal

Correct answer: 2. Intradermal

Explanation: Ans. is 'b' i.e., Intradermal o In tuberculin test, injection is given intradermally on flexor (ventral) surface of left forearm, mid-wav between elbow & wrist.Intradermal injection of PPDon flexor aspect of forearm | Examined at 48-72 hours |||Induration > 10 mmInduration < 5 mmInduration 6-9 mm|||PositiveNegativeEquivocal | Repeat tuberculin test (two step testing)